The periodontium remains healthier when crown margins 
are placed
1. At the gingival crest
2. Above the gingival margin
3. About 1/2 mm apical to the gingival crest
4. About 1 mm apical to the gingival crest

Correct answer: 2. Above the gingival margin